Number of variable regions on each light and heavy chain of an antibody -
1. 1
2. 2
3. 3
4. 4

Correct answer: 1. 1

Explanation: A light chain has two successive domains: one constant domain and one variable domain. Heavy chain with one variable (VH) domain followed by a constant domain (CH) Ref: Ananthanarayan & Panikers textbook of microbiology 9th edition pg:94